The dentist who first used Nitrous oxide for the abolition of pain due to dental extraction was
1. Harper David
2. Harvey william
3. Horace wells
4. Hunter John

Correct answer: 3. Horace wells